HPV associated with adenocarcinoma of cervix:
1. Type 6
2. Type 18
3. Type 11
4. Type 42

Correct answer: 2. Type 18